Retinoblastomas arising in the context of germ-line mutations not only may be bilateral, but also may be associated with______ (so called "trilateral" retinoblastoma)
1. Medulloblastoma
2. Pinealoblastoma
3. Neuroblastoma
4. Hemangioblastoma

Correct answer: 2. Pinealoblastoma

Explanation: Ans. (b) Pinealoblastoma(Ref: Robbins 9th/pg 1339)*"Trilateral" retinoblastoma refers to bilateral Retinoblastomas pluspinealoblastoma, occurring in individuals inheriting a germline mutation of one RB allele; it is associated with a dismal outcome*Retinoblastoma is the most common primary intraocular malignancy of children.